Boundary of the Kochs triangle is not formed by:
1. Tricuspid valve ring
2. Coronary sinus
3. Tendon of todaro
4. Limbus fossa ovalis

Correct answer: 4. Limbus fossa ovalis

Explanation: Triangle of koch is landmark for AV node with its transition zone. It is bounded by tendon of todaroQ (superiorly), tricuspid valve septal leafletQ (inferiorly) and coronary sinus orificeQ (basally)